Muscle biopsy in PAN shows -
1. Necrotising arteritis
2. Atrophy
3. Granulomatous lesions
4. Ring lesions

Correct answer: 1. Necrotising arteritis